Which of the following is the major effect of glucocorticoids in asthma?
1. anti-inflammatory
2. bronchodilatory
3. sedative
4. mucus dissolving

Correct answer: 1. anti-inflammatory

Explanation: Glucocorticoids are not bronchodilators, and their major use is in reducing airway inflammation. It is difficult to provide precise recommendations for their use, and a wide range of systemic and inhaled doses are used.